Which of the following laboratory determinants is abnormally prolonged in ITP?
1. APTT
2. Prothrombin time
3. Bleeding time
4. Clotting time

Correct answer: 3. Bleeding time

Explanation: Immune thrombocytopenic purpura is an acquired disorder characterized by immune-mediated destruction of platelets and inhibition of release of platelets from the megakaryocyte. Since plateletsare involved bleeding time is abnormally prolonged in ITP. APTT, PT, CT are prolonged in coagulation disorders. Ref: Harrison's Principle of Internal Medicine, 18th Edition, Page 968, Chapter 115